All of the following drugs are harmful in pregnancy except
1. Phenytoin
2. Diazepam
3. Warfarin
4. Heparin

Correct answer: 4. Heparin

Explanation: Heparin does not cross the placenta. Hence it is safe for use in pregnant patients who needs anticoagulation.Ref: Katzung 13th ed Pg 589